Which of the following is culture media for Neisseria gonorrhea?
1. Blood agar
2. Bile Esculin agar
3. Mannitol salt agar
4. Modified New York city agar medium

Correct answer: 4. Modified New York city agar medium

Explanation: Culture media for Neisseria gonorrhea - 1. Chocolate agar and Mueller-Hinton agar 2. Thayer: Martin media 3. Modified New York city medium 4. Martin: Lewis Media Bile Esculin (agar) hydrolysis test - Positive = Blackening of the medium Enterococcus Group D Streptococci Mannitol salt agar - Selective media for S. aureus Yellow colonies due to mannitol fermentation Blood agar - Prepared by adding 5-10% of sheep blood to the molten nutrient agar at 45degC. Enriched media and support growth of all types of non-fastidious bacteria.